A patient with clustered, white lesions on the buccal mucosa (opposite the upper 1st & 2nd molars) pathognomonic for measles. These are:-
1. Leukoplakia
2. Koplik spots
3. Kaposi spots
4. None

Correct answer: 2. Koplik spots

Explanation: Koplik spots - These are white lesions on buccal mucosa opposite the first and second lower molars. They are small, bluish-white spots on a red base, smaller than the head of a pin It is pathognomonic of measles. Measles- Causative organism - RNA paramyxovirus Incubation period - 10-14 days Pathognomic c/f - Koplik spots Clinical feature- retroauricular origin of rash M/c complication- serous otitis media